The mechanism of antibacterial action of cephalosporins involves :
1. Inhibition of the synthesis of precursors of peptidoglycan
2. Interference with the synthesis of ergosterol
3. Inhibition of transpeptidation reaction
4. Inhibition of beta-lactamase

Correct answer: 3. Inhibition of transpeptidation reaction